Treatment of choice for phlyctenular conjunctivitis is
1. Topical steroids
2. Sodium cromoglycate
3. Zinctioxide
4. AKT

Correct answer: 1. Topical steroids